All are true regarding events related to oogenesis EXCEPT
1. Primary oocyte is arrested at prophase - I at birth
2. LH surge occurs 24-48 hrs. prior to ovulation
3. First polar body is released at ovulation
4. Meiosis-II is a reduction division

Correct answer: 4. Meiosis-II is a reduction division

Explanation: Meiosis-II is 'not' a reduction division, as it doesn't reduce the chromosome number into half. Chromosome number gets reduced to half during meiosis- I (reduction division).| Primary oocyte gets arrested at prophase - I before birth (while the baby is still in-utero). LH surge occurs 24-48 hrs. prior to ovulation.